Krukenberg adenocarcinoma of ovary can occur as result of metastases from all except-
1. Stomach
2. Breast
3. Liver
4. Pancreas

Correct answer: 3. Liver

Explanation: Ans. (c) Liver(Ref: Robbins 9th/pg 1034; 8th/pg 1052)KRUKENBERG TUMOR*Refers to a metastatic bilateral ovarian malignancy whose primary site is GIT or breast. Q*Ca colon, appendix, breast (sp invasive lobular carcinoma), pancreas and gall bladder are other primary sites.